Which of the following vessels have the least diameter in cross section
1. Veins
2. Arteriole
3. Venule
4. Capillaries

Correct answer: 4. Capillaries

Explanation: The capillaries are about 5 μm in diameter at the arterial end and 9 μm in diameter at the venous end.